H.Pylori causes which of the following anemia
1. Iron deficiency anemia
2. Sideroblastic anemia
3. Hemolytic anemia
4. Aplastic anemia

Correct answer: 1. Iron deficiency anemia